What is the inheritance pattern of congenital adrenal hyperplasia ?
1. AD
2. AR
3. XD
4. XR

Correct answer: 2. AR

Explanation: Refer the byte "mendelian disorder and their inheritance pattern".